Which of the follow ing drugs is contraindicated in liver dysfunction?
1. Pefloxacin
2. Vancomycin
3. Amikacin
4. Hydralazine

Correct answer: 1. Pefloxacin

Explanation: Ans. is 'a' i.e., Pefloxacin In liver dysfunctionDrugs contraindicatedDrugs require dose adjustmento Erthromycin estolaleo Tetracyclineso Pyrazinamideo Pefloxacino Chloremphenicalo Methotrexateo INHo Rifampicino Tacrineo Talcaponeo Clindamycin